Russell body is found in-
1. WBC
2. RBC
3. Mast cells
4. Plasma cells

Correct answer: 4. Plasma cells

Explanation: Answer is D (Plasma cells) Russel bodies are intracytoplasmic inclusion bodies seen within plasma cells in patients with multiple myeloma.